Morula period is a ----- cell stage
1. 4 to 8 cell stage
2. 12 to 16 cell stage
3. 28 to 32 cell stage
4. 50 to 60 cell stage

Correct answer: 2. 12 to 16 cell stage

Explanation: After fertilization, the zygote is a diploid cell with 46 chromosomes, undergoes cleavage, and zygote cells produced by this division are called blastomeres. As the blastomeres continue to divide, a solid mulberry-like ball of cells, the morula is produced. The morula enters the uterine cavity about 3 days after fertilization. The gradual accumulation of fluid between the morula cells leads to the formation of the early blastocyst. The morula period begins at the 12- to 16cell stage and ends when the blastocyst forms, which occurs when there are 50 to 60 blastomeres present. Reference: William's Obstetrics; 24th edition; Chapter 5; Implantation and Placental Development